60 years female with fracture neck of left femur, develops vascular necrosis, which is most probably due to damage of
1. Retinacular Branches of circum - flex - femoral artery
2. Femoral artery
3. Iliac artery
4. Tibial artery

Correct answer: 1. Retinacular Branches of circum - flex - femoral artery